The following is part of Hamstrings -
1. Semimembranous
2. Gracilis
3. Short head of biceps femoris
4. Sartorius

Correct answer: 1. Semimembranous

Explanation: Ans. (a) SemimembranousRef.: BDC 6th ed. vol. II / 83* Hamstring muscles are - Semimembranosus, semiten- dinosus, long head of biceps femoris and ischial head of adductor magnus.